All of the following diseases are caused by staphylococcus aureus except
1. Ecthyma
2. Bullous Impetigo
3. Carbuncle
4. Folliculitis

Correct answer: 1. Ecthyma

Explanation: STREPTOCOCCAL INFECTIONS Ecthyma:- * Deeper form of nonbullous impetigo with ulceration due to GAS but quickly contaminated by S. aureus. * Presents as 'punched out' shallow ulcer with thick, yellow-gray crust commonly in lower legs of children. * If diagnosis uncertain - punch biopsy with deep-tissue Gram stain and culture. Treatment:- Dicloxacillin or first generation cephalosporin. Ref:- Sima Jain; pg num:-207